The best marker to diagnose thyroid related disorder is:
1. T3
2. T4
3. TSH
4. Thyroglobulin

Correct answer: 3. TSH

Explanation: Ans. (c) TSHRef: Schwartz 10th edition Page 1349* TSH assay is the most sensitive and Specific test for diagnosis of hyper and hypothyroidism for optimizing T4 therapy.